Interosseous membrane of forearm is piereced by
1. Brachial artery
2. Anterior interosseous artery
3. Posterior interosseous artery
4. Ulnar recurrent artery

Correct answer: 2. Anterior interosseous artery

Explanation: -The anterior interosseous nerve and vessels lie in close relation to the anterior surface of the interosseous membrane of forearm stretching between the interosseous borders of radius and ulna.At the upper margin of the pronator quaadratus, the anterior interosseous vessels pass through the interosseous membrane to enter the posterior compartment of forearm. -The lower part of the posterior surface of interosseous membrane is closely related to the anterior interosseous artery and posterior interosseous nerve.The posterior interosseous vessels enter the posterio compartment through the gap between oblique cord and upper margin of the interosseous membrane. -reference; clinical anatomy for students ,problem solving appproach,neeat v kulkarni, page no.79